Ingestion of arsenic causes :
1. Hepatic carcinoma
2. Hepatic adenoma
3. Non cirrhotic portal fibrosis
4. Hepatic cirrhosis

Correct answer: 3. Non cirrhotic portal fibrosis

Explanation: Answer is C (Non cirrhotic portal fibrosis) "Chronic ingestion of Arsenic has been incriminated in causation of NCPF. High Hepatic arsenic levels in patients with NCPF have been reported" - API 7th/ 621 The precise etiology of NCPF remains an enigma. The implicated chemical agents include: Arsenic Copper Vinyl chloride Arsenic in also associated with the following cancers Q Skin cancer Q (Chandrasoma Taylor3rd/ 285) Lung cancer Q (Chandrasoma Taylor 3rd/ 285) Hepatic angiosarcoma Q(Chandrasoma Taylor 3rd/ 185)